In modified neck dissection, surgeon should be careful to avoid 'shoulder syndrome'. All of the following are part of shoulder syndrome, EXCEPT:
1. Restricted range of movement
2. Pain
3. Shoulder drooping
4. Normal electromyographic finding

Correct answer: 4. Normal electromyographic finding

Explanation: Resection of the spinal accessory nerve during radical neck dissection or injury to the nerve during modified neck dissection (with preservation of the spinal accessory nerve), can lead to the "shoulder syndrome". This syndrome consists of, Pain in the shoulder Limited shoulder abduction Full passive range of motion Scapular flaring and droop Abnormal electromyography of the trapezius Ref: Principles and Practice of Geriatric Surgery By Ronnie Ann Rosenthal, 2011, Page 569.